Which fungicide is used as a spray for the control of bagassosis -
1. 2% acetic acid
2. 2% fonnic acid
3. 2% propionic acid
4. 25% phenyl mercury

Correct answer: 3. 2% propionic acid

Explanation: Ans. is 'c' i.e., 2% Prnpionic acid